Which of these statements regarding bicuspid aortic valves (BAV) is FALSE?
1. BAVs are one of the most common congenital cardiac abnormalities with a prevalence in the general population of up to 2%
2. Patients with BAV often need aortic valve intervention at an early age than those with tricuspid aortic valves
3. BAVs are associated with aortic dilatation and aneurysm formation but there is no increased risk of rupture or dissection
4. They are commonly associated with Coarctation of the aorta (up to 50%)

Correct answer: 3. BAVs are associated with aortic dilatation and aneurysm formation but there is no increased risk of rupture or dissection

Explanation: Option A: correct as BAVs are one of the most common congenital cardiac abnormalities Option B: Aortic valve has high pressure gradient & patient with BAV need aortic valve intervention at an early age then those with Tricuspid valves. Option C: BAV will have | Risk of rupture of dissection. Option D: Correct Turner syndrome associated with both Bicuspid aortic valve & coarctation of aorta, so 'd' is also true.